NERNST's potential of Na+ is
1. 61
2. -60
3. 90
4. -80

Correct answer: 1. 61

Explanation: Nernst potential
Na+- +60mv
K+- -90mv
Cl- - -70mv